Retrobulbar injection is given in
1. Inside muscle cone
2. Outside muscle cone
3. Subtenon space
4. Subperiosteum

Correct answer: 1. Inside muscle cone

Explanation: (Refer: AK Khurana Comprehensive Ophthalmology, 6th edition, pg no. 444) *Retrobulbar injection:- Injection in retrobulbar space inside the muscle cone *Peribulbar injection:- Injection in peribulbar/retrobulbar space outside the muscle cone *Sub-tenon injection:- Injection beneath the tenon capsule, i.e. in subtenon space. It is also called parabulbar block Retrobulbar block involves depositing local anesthetic inside the muscle cone. It aims to block the ciliary nerves, the ciliary ganglion, and cranial nerves III, IV, and VI.